Kiesselbach's area does not involve:
1. Superior labial artery
2. Anterior ethmoidal artery
3. Greater palatine artery
4. Posterior ethmoidal artery

Correct answer: 4. Posterior ethmoidal artery

Explanation: Ans: D Posterior ethmoidal artery* Kiesselbach's area aka Kiesselbach;s plexus and Little's area, is an area on the nasal septum located on the antero inferior part of the septum* in this area four arteries anastomose to form a vascular plexus called Kiesselbach's plexus.* The arteries are# Sphenopalatine artery (from the maxillary artery): Main artery of plexus# Greater palatine artery (from the maxillary artery)# Anterior ethmoidal artery (from the ophthalmic artery)# Septal branch of the superior labial artery (from the facial artery)